Longest muscle in the body
1. Biceps
2. Triceps
3. Sartorius
4. Quadriceps

Correct answer: 3. Sartorius

Explanation: REF BD CHAURASIAS HUMAN ANATOMY SIXTH EDITION VOLUME 2 PAGE 53 Sartorius is long narrow and ribbon like it run downwards and medially across the front of thigh .it is the longest muscle in the body. It orgin :anterior superior iliac spine Ipper half of notch below spine Insertion: medial surface of shaft of tibia upper part